The difference between contamination and infection is that in infection-
1. Infectious agent is on body surface or on nonhuman objects
2. Infectious agent is in the body of human
3. Arthropods on the body surface
4. None

Correct answer: 2. Infectious agent is in the body of human

Explanation: Ans. is 'b' i.e., Infectious agent is in the body of human o Infection --> Infectious agent in the body. o Contamination ---> Infectious agent on body surface or on objects. o Infestation --> Arthropods on body surface.